The alveoli are filled with exudate the air is displaced converting the lung into a solid organ. This description suggests-
1. Chronic bronchitis
2. Bronchial asthma
3. Bronchiectasis
4. Lobar pneumonia

Correct answer: 4. Lobar pneumonia

Explanation: Ans. is 'd' i.e., Lobar pneumonia